A female developed brown macule on the cheek, forehead and nose after exposure to light following delivery of a baby, the diagnosis is -
1. SLE
2. Chloasma
3. Photodermatitis
4. Acne rosacea

Correct answer: 2. Chloasma